Name the accelerator used in Zinc oxide eugenol paste:
1. Olive oil
2. Linseed oil
3. Zinc acetate
4. All of these

Correct answer: 3. Zinc acetate

Explanation: In Zinc Oxide Eugenol impression pastes, other anhydrous formulations contain acetic acid or zinc acetate to accelerate the reaction. In any case, water provides additional acceleration.
Ref: Phillips 12edition page no 179